All are true about non typhoid salmonella except -
1. Poultry is source
2. Can cause invasive disease in neonates
3. Blood culture is more sensitive than stool culture in gastroenteritis in adults
4. Resistance to fluoroquinolone has emerged

Correct answer: 3. Blood culture is more sensitive than stool culture in gastroenteritis in adults